Drugs used in migraine prophylaxis are all except (DELETE-REPEAT)
1. Flunarizine
2. Propanol
3. Cyproheptadine
4. Sumatriptan

Correct answer: 4. Sumatriptan

Explanation: Migraine prophylaxis should be considered in patients who: * suffer at least two attacks a month; * are experiencing an increasing frequency of headaches; * The prophylaxis should not be continued for more than 4-6 months. * Therapy for migraine prophylaxis should aim to reduce the frequency of migraine attacks by 50% * These include (i) Anticonvulsants (valproate and Topiramate), (ii) Antidepressants (amitriptyline and fluoxetine), (iii) b-adrenoceptor antagonists (propranolol, timolol) (iv)Calcium channel blockers (verapamil, nimodipine), (v) Serotonin 5-HT2 receptor antagonist ( Methysergide,cyproheptidine) - less impressive REF :ESSENTIALS OF MEDICAL PHARMACOLOGY:KD TRIPATHI;7TH EDITION